WHO recommended dose of misoprostol I'm the treatment of post partum hemorrhage
1. 400 mcg oral
2. 600 mcg sublingual
3. 800 mcg sublingual
4. 1000 mcg oral

Correct answer: 3. 800 mcg sublingual

Explanation: Refer WHO recommendations for prevention and treatment of PPH 2012 Oxytocin is drug of choice for treatment and we'll as prevention of post partum hemorrhage Alternative are ergometrine, fixed dose combination of Oxytocin and ergometrine and misopristol Misopristol is recommended as 600 mg orally for prevention of PPH and 800 mg sublingually for treatment of PPH